The serum concentration of which of the following human Ig is maximum:
1. IgG
2. IgA
3. IgM
4. IgD

Correct answer: 1. IgG

Explanation: IgG